Raised AFP is typically seen in -a)  Hepatitisb)  Serninomac)  HCCd)  All of the above
1. a
2. ac
3. ad
4. b

Correct answer: 2. ac